Renal cell carcinomas (RCCs) are vascular tumors. MOST important prognostic indicator for RCC is:
1. Nuclear grade
2. Histological type
3. Size
4. Pathological staging

Correct answer: 4. Pathological staging

Explanation: The ultimate goal of pathological staging is to select appropriate therapy and obtain prognostic information. Appropriate studies for a complete clinical staging evaluation include history and physical examination, complete blood count, serum chemistries (renal and hepatic function), urinalysis, chest x-ray (chest CT scan for an equivocal exam), CT scan of abdomen and pelvis, and a radionuclide bone scan (with x-rays of abnormal areas). Ref: Konety B.R., Williams R.D. (2008). Chapter 21. Renal Parenchymal Neoplasms. In E.A. Tanagho, J.W. McAninch (Eds), Smith's General Urology, 17e.